Which of the following is not done in high altitude sickness?
1. Acetazolamide
2. Digoxin
3. Rapid descent
4. Oxygen

Correct answer: 2. Digoxin

Explanation: Acute Mountain Sickness (AMS) Treatment of High-altitude sickness: Gradual ascent, with adequate time for acclimatization, is thebest methodfor the prevention of altitude illness. Proper hydration(but not overhydration) in high-altitude trekking and climbing, aimed at countering fluid loss due to hyperventilation and sweating, may play a role in avoiding AMS. Acetazolamideis thedrug of choicefor AMS prevention. It inhibits renal carbonic anhydrase, causing prompt bicarbonate diuresis. Dexamethasone(8 mg/d in divided doses) is also effective Spironolactone,Digoxin, Medroxyprogesterone, Magnesium, Calcium channel blockers, and Antacids, conferno benefitin the prevention of AMS.